Validity includes
1. Sensitivity and specificity
2. Precision
3. Acceptibility
4. None

Correct answer: 1. Sensitivity and specificity